Laryngeal papilloma –
1. Single
2. Multiple
3. Seen in children
4. All of these

Correct answer: 4. All of these

Explanation: Laryngeal papilpoma

Most common benign tumor of larynx
Single or multiple irregular, wart like glottic masses.
HPV-6 & 11 may be the causative factor.
Treatment is with CO, laser ablation.
oc-IFN and indole - 3 - carbinole may also be used.